Which is not a heterophile agglutination test ?
1. Weil Felix test
2. Widal test
3. Paul Bunnell test
4. Streptococcus

Correct answer: 2. Widal test

Explanation: Ans. is 'b' i.e., Widal test Heterophilic agglutination reaction . Some organisms of different class or species share closely related antigens. . When serum containing agglutinin (antibody) of one organism gives agglutination reaction with antigen of other organism, it is called heterophilic agglutination test. Examples are . Streptococcus M.G. agglutination test for primary atypical pneumonia. . Weil - Felix reaction for typhus fever . Paul Bunnell test fin- IMN.